A reasonable explanation for the therapeutic effects of ibuprofen or naproxen in primary dysmenorrhea is that these drugs
1. |PGE, and PGF2a
2. selectively inhibit COX 2
3. |LTB,
4. inhibit PLA2

Correct answer: 1. |PGE, and PGF2a

Explanation: PGE, and PGF2a both increase in primary dysmenorrhea, and the therapeutic effects of NSAIDs appear to be due to inhibition of the synthesis of these prostaglandins. Both ibuprofen and naproxen are nonselective COX inhibitors that can inhibit the synthesis of prostacyclin (PGI2 ). NSAIDs do not inhibit phospholipase A2 , and they do not decrease leukotrienes.